Dose of anti-D immunoglobulin (in microgram) to Rhnegative (post partum) mother:
1. 50
2. 150
3. 300
4. 450

Correct answer: 3. 300

Explanation: Ans. C i.e. 300 All-Rh negative sensitized women should receive 50 microgram of Rh-immune globulin IM within 72 hours of induced or spontaneous abortion, ectopic or molar pregnancy or CVS (chorionic villous sampling) in the first trimester Women with pregnancy beyond 12 zveeks should have full dose of 300 microgram